A Person ate some milk products in a party and after 6 hours started vomiting. Which organism is most likely the cause:
1. Bacillus cereus
2. Clostridium perfringens
3. Staphylococcus
4. Clostridium botulism

Correct answer: 3. Staphylococcus

Explanation: Ans. (c) StaphylococcusRef: Harriosn 18th ed. / 128, Microbiology by Ananthanarayan and Paniker 8th ed. /198* Staphylococcus causes food poisoning by enterotoxin A, due to intake of milk or milk products.# It is a preformed, heat stable enterotoxin, which stimulate the vagus nerve causing vomiting as main and first symptom.# I.P. < 6 hours* Outbreaks following picnics where potato salad, mayonnaise, and cream pastries have been served offer classic examples of staphylococcal food poisoning.* Bacillus cereus is an important cause of food poisoning, isolated from soil, vegetables, milk cereals, meat etc.* It produces 2 types of food poisoning:Diarrhea type- main symptomEmetic type- main symptom* Associated with wide range of food intake including meat, puddings etc.* I.P. 8-16 hrs* Occurs due to heat labile enterotoxin* Associated with intake of Chinese fried rice* I.P. 1-5 hrs* Due to pre-formed, heat stable toxin# Clostridium perfringens causes gastroenteritis after intake of infected meat or meat products. I.P. - 8-16 hours.# Clostridium botulism causes food poisoning due to consumption of canned food. I.P. 1 to 3 days.